Point of entry of inferior division of oculomotor nerve in the orbit is-
1. Inferior Orbital fissure
2. Superior Orbital fissure
3. Foramen Rotundum
4. Foramen Lacerum

Correct answer: 2. Superior Orbital fissure

Explanation: Ans. is 'b' i.e., Superior Orbital fissure Structures passing through superior orbital fissure* Superior and inferior divisions of oculomotor nerve (III)* Trochlear nerve (IV)* Lacrimal, frontal and nasociliary branches of ophthalmic (VI).* Abducens nerve (VI)* Superior and inferior divisions of ophthalmic vein. Inferior division also passes through the inferior orbital fissure.* Sympathetic fibers from cavernous plexus